Second stage of labor starts from:
1. Rupture of membranes
2. 3/5 dilatation of cervix
3. Full dilatation of cervix
4. Crowning of head

Correct answer: 3. Full dilatation of cervix

Explanation: Ans. C i.e. Full dilatation of cervix Stages of labor 1st stage: Onset of labor to dilatation of cervix - 6-20 hours in primigravida - 2-10 hours in multigravida 2nd stage: From full dilatation of cervix to complete birth of baby 3rd stage: Birth of infant to delivery of placenta